The most common manifestation of osteoporosis is -
1. Compression fracture of the spine
2. Asymptomatic, detected incidentally by low serum calcium
3. Bowing of legs
4. Loss of weight

Correct answer: 1. Compression fracture of the spine

Explanation: Clinical Features of osteoprosis-1.The clinical features depend upon the major clinical sequelae (fracture of the vertebra, wrist, hip, humerus and tibia). 2.Pain is usually of acute onset in the dorsal and lumbar regions and often radiating to flanks and abdomen. Pain is often aggravated by bending, lifting weights or while jumping. 3.Loss of appetite and muscular weakness are also present. 4.The collapse fractures of vertebral bodies (anterior) usually produce wedge shaped deformity with loss in height and results in dorsal kyphosis and exaggerated, cervical lordosis (dowager or widows hump). 5.Scoliosis is also common. R ALAGAPPAN MANUAL OF PRACTICAL MEDICINE FOURTH EDITION PAGE NO-690